Most common complication following extra-capsular cataract extraction is:
1. After cataract
2. Corneal endothelial decompensation
3. Secondary glaucoma
4. Cystoid macular oedema

Correct answer: 1. After cataract

Explanation: Ans. After cataract